A female, Lalita, aged 26 yrs accidentally takes 100 tablets of paracetamol. What is the treatment of choice -
1. Lavage with charcoal
2. Dialysis
3. Alkaline diuresis
4. Acetylcysteine

Correct answer: 4. Acetylcysteine

Explanation: Ans. is 'd' i.e Acetylcysteine "In cases of moderate to severe poisoning N acetylcysteine (Mucomyst) should be given orally. It is most effective when given within 16-24 hours of overdosage. It prevents hepatic damage". - Parikh